Patient presents with altered behaviour, delusions & hallucination suggest -
1. Psyshotic disorder
2. Confirms schizophrenia
3. Korsakoff's psychosis
4. Depression

Correct answer: 1. Psyshotic disorder

Explanation: Altered behavior with hallucination & delusion is seen in Psychosis.
These symptoms occur in schizophrenia, but do not confirm the diagnosis of schizophrenia (option b).